Most common complication of sliding hernia is -
1. Esophagitis due to continuous reflux
2. Pneumonia
3. Hemorrhage
4. Perforation

Correct answer: 1. Esophagitis due to continuous reflux

Explanation: Ans. is 'a'i.e., Esophagitis due to continuous reflux o There are 4 types of hiatal herniaType I: Sliding hernia (most common type ~ 70 - 80%)Type II: Paraesophageal or rolling hernia TypeIII: MixedType IV: These hernias are distinguished by the presence of other abdominal viscera wihin the defect i.e. omentum, transverse colon.o Type I or Sliding hiatal hernia# This is characterized by upward dislocation of the cardioesophageal junction into the posterior mediastinum.o Type II or Rolling Paraesophageal hernia# The cardioesophageal junction is undisplaced# The whole or part of stomach herniates into the thorax immediately adjacent and to the left of the undisplaced cardioesophageal junction.# Since the normally located gastroesophageal junction functions normally in most of these hernias, reflux is uncommon.Complications of hiatal hernia|||Sliding herniaRolling Paraesophageal herniao Esophagitis d/e reflux (most common)o Barrett's esophagous & adenocarcinomao Aspiration & pneumoniao Minor role in development of asthmao Hemorrhage, incarceration obstruction & strangulationo Respiratory complicationo Dyspnea from mechanical compressiono Pneumonia if aspiration occurs.